The greatest total cross-sectional area in the circulatory system is of
1. Aorta
2. Capillaries
3. Venules
4. Vene cavea

Correct answer: 2. Capillaries

Explanation: The greatest cross sectional area in the circulatory system is of capillaries. The total cross-sectional area is minimum for the aorta. Characteristics of Various Types of Blood Vessels in Systemic Circulation: Vessel Lumen Diameter Wall Thickness Approx. Total cross sectional area (Cm2) % of Blood volume contained * Aorta 2.5cm 2mm 4.5 2 Artery 0.4cm 1mm 20 8 Arteriole 30 mcm 1 mcm 400 1 Capillary 5 mcm 1 mcm 4500 5 Venule 20 mcm 2 mcm 4000 54 Vein 0.5cm 0.5mm 40 54 Vena cava 3 cm 1.5mm 18 54 *In systemic vessels; there is an aditional 12% in the heart and 18% in the pulmonary circulation. Ref: Ganong's review of medical physiology 26th edition Pgno: 559